True about incised looking wounds are all, except
1. Type of split lacerated wound
2. Avulsion lacerated wound with blunt object
3. Produced by blunt object
4. Commonly seen on scalp

Correct answer: 2. Avulsion lacerated wound with blunt object

Explanation: Ans. Avulsion lacerated wound with blunt object